Cardiac arrhythmias are most commonly seen during administration of
1. Thiopental
2. Halothane
3. Ethyl Ether
4. Nitrous oxide

Correct answer: 2. Halothane